Which of the following is the only shoulder girdle muscle which is not inserted on the bone in free upper limb?
1. Coracobrachialis
2. Pectoralis major
3. Pectoralis minor
4. None of the above

Correct answer: 3. Pectoralis minor

Explanation: Pectoralis minor is the only shoulder girdle muscle which is not inserted on the bone in free upper limb. It arises from the 3rd to 5th ribs and is inserted on the coracoid process. It lowers and rotates the scapula. It is innervated by pectoral nerves (C6-8). Coracobrachialis: It arise from the coracoid process together with the short head of the biceps brachii. It is inserted on the medial surface of the humerus on the continuation of the crest of the lesser tubercle. It is innervated by musculocutaneous nerve. Pectoralis major: The three parts of the muscle get inserted on the crest of the greater tubercle of humerus. It forms the muscular basis of the anterior axillary fold.